Which of the following tests can differentiate MRKH from testicular feminizing syndrome
1. 3D USG
2. MRI
3. Karyotyping
4. Serum testosterone levels.

Correct answer: 3. Karyotyping

Explanation: Karyotyping is best to differentiate between MRKH and testicular feminization syndrome.